Conduction velocity in AV node 8c SA node-
1. 0.05 meter/sec
2. 0.5 meter/sec
3. 1 meter/sec
4. 5 meter/sec

Correct answer: 1. 0.05 meter/sec

Explanation: Ans. is 'a' i.e., 0.05 meter/sec Cardiac tissueConduction velocity (meter/second)SA node0 [?] 05Inteatrial pathways1Atrial muscle0 [?] 30AV node0 [?] 05 (minimum)Bundle of His1Purkinje system4 (maximum)Ventricular muscle1